Miyagawa corpuscles are characteristic of ?
1. Psittacosis
2. Malaria
3. Rabies
4. Lymphogranuloma venerum

Correct answer: 4. Lymphogranuloma venerum

Explanation: Ans. is. d. i.e., Lymphogranuloma venerum Inclusion body of C.trachomatis causing conjuctivitis - Halberstaedter prowazek (H.P.) body.Inclusion body of C. trachomatis causing L.G.V. -s Miyagawa's granulocorpuscles.In psittacosis -s Levinthal - toles - lillie bodies.